Dimercaperol is contraindicated in poisoningwith?
1. Iron
2. Mercury
3. Gold
4. Silver

Correct answer: 1. Iron

Explanation: Ans. is 'a' i.e., Iron Dimercaprol is contraindicated in iron and Cadmium Poisoning as Dimercaperol - Fe and Cd complexes are themselves toxic. Dimercaprol (British Anti-Lewisite. BAL) Dimercaprol contains two sulfahydryl groups. Dimercaprol provides these SH groups to protect enzymes and other proteins from metal like arsenic. Dimercaprol is used in acute arsenic and mercury poisining but not in chronic poisoning as it can redistribute these metals to CNS. Because aqueous solutions of arsenic are unstable and oxidize readily, it is dispensed in 10% solution in peanut oil and must be administered IM. To avoid this, two water soluble analogues of BAL are available ? Succimer (Dimercaptosuccinic acid, DMSA) Can be used oral or iv for arsenic, lead & mercury poisonings. Unithol (Dimercaptopropanesulfonic acid, DMPS) Can be used oral or iv for arsenic, lead & mercury poisonings.